Which is true about carotid stenosis:
1. Ipsilateral hemiplegia by embolism of MCA
2. Bruit indicates severity of stenosis
3. Common in External carotid artery
4. Aspirin reduces risk of TIA

Correct answer: 4. Aspirin reduces risk of TIA

Explanation: Answer is D (Aspirin reduces risk of TIA): Antiplatelet therapy (including Aspirin) is recommended for medical therapy in patients with asymptomatic carotid stenosis to reduce the risk of TIA's. Carotid artery stenosis is not common in the External Carotid Artery Carotid Artery stenosis is common at the bifurcation of the common carotid artery and internal carotid artery. -Harrison Embolism in the Middle Cerebral Artery does not lead to ipsilateral hemiplegia Embolic material can dislodge from a plaque at the bifurcation of the common carotid artery and occlude a more distal middle cerebral artery. However such occlusion will lead to contralateral hemiplegia and not ipsilateral hemiplegia. Bruit does not always indicate the severity of lesion Bruit may he associated with tight stenotic lesions, but as the stenosis grows tighter and flow distal to the stenosis gets reduced, the bruit becomes fainter and may disappear when complete occlusion is imminent.